A 42 yr old male from srilanka presented with multiple polyps in nose .the causative agent might be
1. Histoplasma
2. Rhinospiridium
3. Coccidiodes
4. Mucor

Correct answer: 2. Rhinospiridium

Explanation: Rhinosporidiosis -common in India, Srilanka .pt presents with multiple friable polyps in nose, mouth or eye. It is a chronic granulomatous disease Ref: Baveja 5th ed pg: 552